One TB infected person can infect how many people in 1 yr -
1. 20
2. 30
3. 10
4. 5

Correct answer: 3. 10

Explanation: An estimated annual average of 10-15 persons contact the infection from one case of infectious pulmonary TB. Ref: PARK'S TEXTBOOK OF PREVENTIVE AND SOCIAL MEDICINE 23rd edition , Page :181